Carbonic Anhydrase inhibitors lead to all of the following except:
1. Loss of sodium and water
2. Metabolic alkalosis
3. Carbon dioxide retention
4. Hypokalemia

Correct answer: 2. Metabolic alkalosis

Explanation: Carbonic Anhydrase inhibitors lead to excretion of bicarbonate and thus acidosis, not metabolic alkalosis.